Dopamine is synthesized from:
1. Tryptophan
2. Threonine
3. Tyrosine
4. Lysine

Correct answer: 3. Tyrosine

Explanation: Ans. C. TyrosineMetabolic products formed from Tyrosine are:MelaninThyroxineCatecholamines (Dopamine, Epinephrine, Norepinephrine)Albinism is due to Defect in Tyrosinase